A 60-years-old man with diabetes mellitus presents with painless, swollen right ankle joint. Radiographs of the ankle shows destroyed joint with large no. Of loose bodies. The most probable diagnosis is:
1. Charcot's joint
2. Clutton's joint
3. Osteoarthritis
4. Rheumatoid arthritis

Correct answer: 1. Charcot's joint

Explanation: Patient of diabetes with painless swollen joint is enough for the diagnosis of charcot's joint. X-Ray Features Marked destructive changes with periarticular erosions Joint space narrowing Osteophyte formation Subchondral sclerosis Loose bodies. The changes simulate osteoarthritis, but the absence of pain is diagnostic. Similarly, it may be difficult to differentiate it from osteomyelitis but joint margins in charcot's arthropathy are distinct , while in osteomyelitis its blurred. MRI/Bone scan can further help in D/D but CT scan is not useful.